Status epilepticus is managed best with the use of which of the following drugs?
1. Intravenous diazepam
2. Intravenous phenytoin sodium
3. Intramuscular phenobarbitone
4. Rectal diazepam

Correct answer: 1. Intravenous diazepam

Explanation: (Ref: KDT 6/e p413) Benzodiazepines like diazepam and lorazepam are fast acting anti-seizure drugs and can be used to abort the seizures in status epilepticus. Lorazepam is the drug of choice for status epilepticus.